After an incised wound ,new collagen fibrils are seen along with a thick layer of growing epithelium.The approximate age of the wound is
1. 4-5days
2. About 1week
3. 12-24hrs
4. 24-48 hrs

Correct answer: 1. 4-5days

Explanation: Ref Robbins 9/e p106 Incised wound for the formation of collagen and new tissue, thick layer of epithelial ,and granulation tissue formation along with new blood vessels requires atleast 4_5 days